Which of the following characteristics of Disseminated Intravascular Coagulation (DIC) makes it distinguished from Thrombotic Thrombocytopenic Purpura (TTP)?
1. Brisk Reticulocytosis
2. The Number of Schistocytes
3. Reduction of Coagulation Factor
4. Significant Thrombocytopenia

Correct answer: 3. Reduction of Coagulation Factor

Explanation: A diagnosis of TTP is made based on the patient's clinical presentation and the supportive laboratory data. Disseminated Intravascular Coagulation is a close differential diagnosis of TTP. Often it is very difficult to distinguish. The following features helps to distinguish DIC from TTP. PT and APTT are increased in DIC Fibrinogen levels are decreased However one should keep in mind that there is no one test that can be diagnostic of DIC. Ref: Davidson's Medicine, 19th Edition, Page 610, 952-953